Pharmacovigilance means:
1. Monitoring of drug safety
2. Monitoring of unethical trade of drugs
3. Monitoring pharma students
4. Monitoring drug efficacy

Correct answer: 1. Monitoring of drug safety

Explanation: Pharmacovigilance has been defined by the WHO as the ''science and activities relating to the detection, assessment, understanding, and prevention of adverse effects or any other drug-related problems'' The information generated by pharmacovigilance is useful in educating doctors about the adverse drug reaction and in the official regulation of drug use Ref; KD Tripathi Pharmacology 7th edition (page no:82)